Differential diagnosis of irritable hip in a child will include all except
1. Slipped capital femoral epiphysis
2. Snapping hip
3. Perthe's disease
4. Tuberculosis of the hip

Correct answer: 2. Snapping hip

Explanation: Snapping hip The term irritable hip is attached to a well recognized syndrome of transient hip pain and restriction of movement in an otherwise healthy child, generally the symptoms last for 1-2 weeks and tl: 1 en subside spontaneously hence the synonym 'transient synovitis".